Acetyl coA can be directly converted to all except
1. Glucose
2. Fatty acids
3. Cholesterol
4. Ketone bodies

Correct answer: 1. Glucose

Explanation: Acetyl-CoA may have following fates :-


Synthesis of fatty acids, ketone bodies, cholesterol and other steroids
Oxidation via TCA cycle